In the primary survey of a severely wounded patient 'cABCDE', 'c' stands for
1. Care about surroundings
2. Call for help
3. Catastrophic haemorrhage
4. Cardiac status

Correct answer: 3. Catastrophic haemorrhage

Explanation: Experience from war zones over the past 20 years has shown that exsanguinating external haemorrhage from massive arterial bleeding needs to be controlled even before the airway is managedIf identified, pressure should be applied, in an attempt to stem the flow of blood. When the tourniquet is applied, the time has to be recorded in view of limb ischaemia.C - Catastrophic haemorrhage A - Airway (with cervical spine control) B - Breathing C - Circulation (with haemorrhage control) D - Disability E - Exposure.Bailey and Love 27e pg:323